Red infarct is seen in?
1. Small intestine
2. Kidney
3. Spleen
4. Heart

Correct answer: 1. Small intestine

Explanation: Ans. is 'a' i.e., Small intestine * Infarcts are of two types:-a) Red infarcts (haemorrhagic infarcts) :- It has well defined hemorrhagic red margins which later becomes brown. It occurs in ovary (venous occlusion due to torsion), lung (loose tissue) and small intestine.b) Pale infarct/white infarct (anemic infarct):- It has ill defined pale margins. It occurs in solid organs like heart, spleen, Liver, kidney and brain.